Which organism causes toxic shock syndrome
1. Pneumococcus
2. Escherichia coli
3. Staphylococcus aureus
4. Enterococcus

Correct answer: 3. Staphylococcus aureus

Explanation: Toxic shock syndrome is a potentially fatal multisystem disease caused by Staphylococcus aureus. Present as fever, hypotension, myalgia, vomiting, diarrhoea, mucosal hyperemia and an erythematous rash which desquamates subsequently. Due to toxic shock syndrome toxin type 1. TSST-1 is a superantigen which is a potent activator of T lymphocytes. It stimulates large numbers of T cells without relation to their epitope specificity. This leads to excessive and deregulated immune response, with the release of cytokines interleukins 1,2, tumour necrosis factor and interferon gamma. This explains multisystem involvement and florid manifestation in TSS.